Oro antral fistula most commonly occurs during extraction of:
1. Maxillary 1st premolar
2. Maxillary 2nd premolar
3. Maxillary 1st molar
4. Maxillary 3rd molar

Correct answer: 3. Maxillary 1st molar